Most common side effect of IUDs
1. Pain abdomen
2. Increased vaginal bleed
3. Abortion
4. Pelvic Infleammatiom

Correct answer: 2. Increased vaginal bleed

Explanation: Most common side effect : Increased vaginal bleed.
2nd most common side effect : Pain.